Which of the following drug does not cause edema?
1. Amlodipine
2. Digoxin
3. Estrogen
4. Cyclosporine

Correct answer: 2. Digoxin

Explanation: Ans. b. Digoxin (Ref: Katzung 12/e p1036-1037; http://www.drugs.com/sfx/digoxin-side-effects.html; http://www.drugs. com/sfx/cyclosporine-side-effects. html)Digoxin does not cause edema.Digoxin Side effectsCommonRareNot known to occur* Dizziness* Fainting* Fast, pounding, or irregular heartbeat or pulse* Slow heartbeat* Black, tarry stools* Bleeding gums* Blood in the urine or stools* Bloody vomit* Pinpoint red spots on the skin* Rash with flat lesions or small Raised lesions on the skin* Severe stomach pain* Unusual bleeding or bruising* Chest pain or discomfort* Nausea* Shortness of breath* Sweating* Swelling of the feet and Lower tegs* Troubled breathing* Unusual tiredness or weakness'Cyclosporine can lead to swelling of the feet or lower legs.'-http://www. drugs.com/sfx/cyclosporine-side-effects.htmlCommon Drugs Causing Edema* Antihypertensives (Calcium Channel Blockers: Amlodipine)* NSAlDs* Steroids* Estrogens* Thiazolidinedione's